Carhart's notch in audiometry is seen in:
1. Ossicular discontinuity
2. Hemotypanum
3. Otomycosis
4. Otosclerosis

Correct answer: 4. Otosclerosis

Explanation: TheCarhart notchis a depression in the bone-conduction audiogram of patients with clinical otosclerosis. It is different at different frequencies but maximum at 2000hz and it called Carhart notch. which correspond to the resonance frequency of the middle ear, can be substantially improved following successful stapes surgery.